Obesity Predisposes to all except -
1. Hypoventilation
2. Hypertension
3. Hyperventilation
4. Diabetes Melitus

Correct answer: 3. Hyperventilation